Liposomes are:
1. Lipid bilayered
2. Water in the middle
3. Carriers of drugs
4. All of these

Correct answer: 4. All of these

Explanation: Ans. D. All of theseLiposomes have an intermittent aqueous phase in lipid bilayer. They are produced when amphipathic lipids in aqueous medium are subjected to sonification. Liposomes are used as carriers of drugs to target tissues.